25 year old patient Suspected to have a pneumoperitoneum. Patient is unable to stand. Best x-ray view is
1. Left lateral decubitus view
2. Right lateral decubitus view
3. Supine
4. Prone

Correct answer: 1. Left lateral decubitus view

Explanation: Left lateral decubitus view demonstrates the air between dense shadow of liver and the abdominal wall.